Origin of cancer cells in Krukenberg tumour is from:
1. Ovarian carcinoma
2. Gastric carcinoma
3. Duodenal carcinoma
4. Pancreatic carcinoma

Correct answer: 2. Gastric carcinoma

Explanation: Ans. B i.e. Gastric carcinomaKrukenberg tumorIt is a malignancy in the ovary that metastasized from a primary site, classically the gastrointestinal tract, although it can arise in other tissues such as the breast.Gastric adenocarcinoma, especially at the pylorus, is the most common source.Krukenberg tumors are often (over 80%) found in both ovaries, consistent with its metastatic nature.